In fracture of the olecronon, excision of the proximal fragment is indicated in all of the following situations except:
1. Old ununited fractures
2. Non-articular fractures
3. Fracture extending to coronoid process
4. Elderly patient

Correct answer: 3. Fracture extending to coronoid process

Explanation: C i.e. Fracture extending to coronoid process